All the following are derived from Neural Crest cells, except:
1. Melanocytes
2. Autonomic neurons
3. Sensory neurons
4. Motor neurons

Correct answer: 4. Motor neurons

Explanation: Motor neurons